Basophilic stippling is
1. Iron deposits
2. DNA remnants
3. Ribosomal inclusions
4. Denatured Hemoglobin

Correct answer: 3. Ribosomal inclusions

Explanation: Basophilic Stippling is ribosomal inclusions in RBCs. Seen in Sideroblastic anemia, lead poisoning, megaloblastic anemia, Thalassemia, Arsenic poisoning.